In mumps the most common eye lesion is:
1. Dacryoadenitis
2. Uveitis
3. Membranous conjunctivitis
4. Chorioretinitis

Correct answer: 1. Dacryoadenitis

Explanation: Ans. Dacryoadenitis